Features of sacral meningomyelocele are all EXCEPT:
1. Hydrocephalus
2. Neuropathic bladder
3. Spastic limbs
4. Areflexia

Correct answer: 3. Spastic limbs

Explanation: -Meningomyelocele in lower sacral region lead to: Bowel and bladder incontinence - Neuropathic bladder Anesthesia in perineal area No impairment of motor function; So, spastic limbs are not seen.